Co-infection is essential for disease presentation is
1. Hepatitis A
2. Hepatitis B
3. Non A Non B Hepatitis
4. Delta Hepatitis

Correct answer: 4. Delta Hepatitis

Explanation: majority of patients with HDV superinfection evolve to chronic HDV infection and hepatitis. Two major patterns of infection have been described: coinfection with HBV and HDV, or superinfection with HDV of a person chronically infected with HBV Ref Harrison20th edition pg 980